Uveoparotitis is seen in which of the following systemic conditions?
1. Sarcoidosis
2. SLE
3. Scleroderma
4. Mumps

Correct answer: 1. Sarcoidosis

Explanation: Uveoparotitis (uveoparotid fever or Heerfordt's syndrome) is an uncommon manifestation of sarcoidosis. It is characterised by bilateral granulomatous pan-uveitis, painful enlargement of parotid glands, cranial nerve palsies, skin rashes, fever and malaise. The patient ordinarily comes to medical attention because of visual impairment and a painful eye. The mouth is dry and the parotid gland is swollen. Facial nerve compression and palsy are present in 40% of cases. Ref: Opthalmology By A. K. Khurana, 2007, Page 156